Polychromatic lusture is seen in:
1. Complicated cataract
2. Post radiation cataract
3. Diabetes mellitus
4. Congenital cataract

Correct answer: 1. Complicated cataract

Explanation: Poly chromatic luster or bread crumb appearance is seen in complicated cataract. Ref: A.K KHURANA (2005), Chapter 5, "Disease of The Lens", In the book, "Opthalmology", 3rd Edition, Newdelhi, Page 194, 195